In order to replace maxillary canine, which of the following pontic should be used:
1. Modified ridge lap.
2. Ovate.
3. Both of the above.
4. Sanitary.

Correct answer: 3. Both of the above.

Explanation: Both modified ridge lap and ovate pontics are superior esthetically and hygienic, and hence, they are used in maxillary canine replacement. But only modified ridge lap is indicated for replacement of missing mandibular canine.